A malignant tumor of childhood, that metastasizes to bones most often, is -
1. Wilm's tumor
2. Neuroblastoma
3. Adrenal gland tumors
4. Granulosa cell tumor of ovary

Correct answer: 2. Neuroblastoma

Explanation: Ans. is 'b' i.e., Neuroblastoma `Metastasis present in 60-70% of children at time of diagnosis are usually to the skeleton, characteristically to the facial bones and the skull and to the bone marrow and nodes'